Which of the following is the most common pure malignant germ cell tumour of ovary :
1. Choriocarcinoma
2. Gonadoblastoma
3. Dysgerminoma
4. Malignant teratoma

Correct answer: 3. Dysgerminoma

Explanation: - dysgerminoma is the most common among the malignant germ cell tumors accounting for 40%. - affects children and young women. Reference : textbook of gynaecology Sheila balakrishnan, 2nd edition, pg no: 283